Wernicke's encephalopathy involves which part of CNS :
1. Mammillary body
2. Thalamus
3. Frontal lobe
4. Arcuate fasciculus

Correct answer: 1. Mammillary body

Explanation: A i.e. Mammilary body